Macrophages are converted to epitheloid cells by which cytokine?
1. IL-2
2. TNF-α
3. IFN-γ
4. TGF-β

Correct answer: 3. IFN-γ

Explanation: IFN-γ has a major role in formation of granuloma.